While recording maxillary impression for edentulous patient, he is asked to move mandible from side to side to record
1. Hamular process
2. Condylar process
3. Coronoid process
4. Posterior palatal seal

Correct answer: 3. Coronoid process

Explanation: The coronoid process of the mandible should be checked and cleared on distobuccal border of impression tray. It is recorded by side to side movement of mandible.